All of the following are a part of the innate immunity except -
1. Complement
2. NK cells
3. Macrophages
4. T cells

Correct answer: 4. T cells

Explanation: Alternate pathways of Complement , NK cells and Macrophages (as phagocytes) are the components of innate immunity
B cell, T cell, Classical complement and Antigen presenting cell are components of adaptive/acquire immunity.

Ref: Apurba Sastry’s Essentials of Medical Microbiology 1/e p97, Kuby’s Immunology 6/e p53